A leukemia patient who has undergone multiple courses of chemotherapy develops herpes simplex encephalitis. Which of the following would you expect a CT scan of the patient's brain to show?
1. Generalized volume loss
2. Volume loss selectively in the basal ganglia
3. Volume loss selectively in the brainstem
4. Volume loss selectively in the temporal and frontal lobes

Correct answer: 4. Volume loss selectively in the temporal and frontal lobes

Explanation: Herpes simplex can cause a necrotizing, hemorrhagic acute encephalitis that may rapidly produce death. The encephalitis characteristically involves the lower portions of the cerebral cortex, notably the temporal lobes and the base of the frontal lobes, possibly because the infection spreads from the oropharynx. Ref: Ropper A.H., Samuels M.A. (2009). Chapter 33. Viral Infections of the Nervous System, Chronic Meningitis, and Prion Diseases. In A.H. Ropper, M.A. Samuels (Eds), Adams and Victor's Principles of Neurology, 9e.